Kaposi sarcoma is seen in -
1. Leukemia
2. Lymphoma
3. AIDS
4. Cytomegalovirus infections

Correct answer: 3. AIDS